Parameningeal Rhabdomyosarcoma is best diagnosed by –
1. MRI
2. CT Scan
3. SPECT
4. PET

Correct answer: 1. MRI